Widmark's formula is used to calculate the quantity of the following in the body after equilibrium between the blood and tissue is reached:
1. Methyl alcohol
2. Nitrous oxide
3. Ethyl alcohol
4. Lithium carbonate

Correct answer: 3. Ethyl alcohol

Explanation: C i.e. Ethyl alcohol